The dose of anti D gamma globulin given after term delivery for a Rh negative mother and Rh positive baby is:
1. 50 micro gram
2. 200 micro gram
3. 300 micro gram
4. 100 micro gram

Correct answer: 3. 300 micro gram